The fungus with septate hyphae and dichotomous branching is
1. Aspergillus
2. Penicillium
3. Mucor
4. Rhizopus

Correct answer: 1. Aspergillus

Explanation: Mucor and Rhizopus - aseptate hyphae. Penicillium - septate but no dichotomous branching. Reference: Textbook of Microbiology; Baveja; 4th edition .